Which among the given options would produce most negative intrathoracic pressure?
1. Yawning
2. First cry of a neonates
3. High pitch opera singing
4. Muller's manoeuvre

Correct answer: 4. Muller's manoeuvre

Explanation: Under quiet breathing - At start of inspiration normal ITP - -5 cm H2O At the end of inspiration normal ITP - -7 cm H2O Forceful breathing ITP: - * deep sigh or a yawn- 30 cm H2O First cry of a neonate, (first breath ITP) - -60cmH2O Muller's maneuver - 100cm H2O Max negative ITP It is counter part of Valsalva maneuver Muller maneuver is forced inspiratory effort against a closed glottis.